A 33-year-old man presented with a slowly progressive swelling in the middle 1/3' of his right tibia. X-rays examination revealed multiple sharply demarcated radiolucent lesions separated by areas of dense and sclerotic bone. Microscopic examination of a biopsy specimen revealed island of epithelial cells in a fibrous stroma. Which of the following is the most probable diagnosis?
1. Adamantinoma
2. Osteofibrous dysplasia
3. Osteosarcoma
4. Fibrous cortical defect

Correct answer: 1. Adamantinoma

Explanation: The characteristic radiological and microscopic features, together with other clinical features suggests the diagnosis of Adamantinoma.
X-ray features ofAdamantinoma
Multiple sharply demarcated radioluscent lesions in the diaphysis of tibia. There radioluscent lesions are separated by areas of dense sclerotic bone.
Microscopic feature — Islands of epithelial cells are present in fibrous stroma.